A 55 year old male presents with enlarged glands over the left side of neck. On examination, Spleen is enlarged 4 cm below the costal margin and liver is enlarged 2 cm below costal margin. Blood examination shlow a total leucocyte count of 80,000/ cumm. Mostly lymphocytes and a few prematurecells the mostly likely diagnosis is -
1. Infective adenopathy
2. Acute leukaemoid reaction
3. Lymphatic leukaemia
4. Hodgkin's disease

Correct answer: 3. Lymphatic leukaemia